Extensive involvement of deep white matter with bilateral hyperdense thalami on non-contrast CT scan of the brain is virtually diagnostic of -
1. Alexander's disease
2. Krabbe's disease
3. Canavan's disease
4. Metachromatic leukodystrophy

Correct answer: 2. Krabbe's disease

Explanation: Extensive involvement of deep white matter with bilateral hyperdense thalami on CT scan suggests the diagnosis of Krabbe's disease.